In pancoast tumor, following is seen except?
1. Homer's syndrome
2. Rib erosion
3. Haemoptysis
4. Pain in shoulder and arm

Correct answer: 3. Haemoptysis

Explanation: Answer is 'c' i.e. Haemoptysis Haemoptysis is seen in central tumors or endobronchial growth (Pancoast tumor is a peripheral tumor) Pancoast's tumor (also k/a superior sulcus tumor) Is a tumor of the apex of the lung It may grow to cause shoulder and arm pain - d/t involvement of C8, TI & 72 nerves Erosion of ribs Homer's syndrome (Enopthalmos, Ptosis, Miosis & Ipsilateral loss of sweating)